Which of the following statements is false regarding the drug resistance?
1. In mutational drug resistance one drug resistance at a time is seen
2. Virulence is decreased in transferable resistance
3. Drug combinations can prevent Mutational drug resistance
4. High degree of resistance is seen in transferable drug resistance

Correct answer: 2. Virulence is decreased in transferable resistance

Explanation: Mutational drug resistance Transferable drug resistance One drug resistance at a time Multiple drug resistance Low degree resistance High degree resistance Can be overcome by high drug dose High dose ineffective Drug combinations can prevent Combinations cannot prevent Resistance does not spread Spreads to same or different species Mutants may be defective Not defective Virulence may be low Virulence not decreased